Okuda staging for HCC includes all except
1. Ascites
2. Albumin
3. PT
4. Tumor size

Correct answer: 3. PT